Culture medium used for corynebacterium diphtheriae-
1. Loefflers serum slope
2. Tetrathionate broth
3. Selenite 'F' broth
4. Chocolate agar

Correct answer: 1. Loefflers serum slope

Explanation: Ans. is 'a' i.e., Loeffler's serum slope * The usual media employed for cultivation of diphtheria bacillus are1) Loeffler's serum slope# It is used for rapid diagnosis as growth is shown within 4-8 hours.2) Tellurite blood agar (Tinsdale medium)# It acts as selective media, as tellurite inhibits growth of most other bacteria.# Growth may take two days to appear.